Treatment of choice for antrochoanal polyp ?
1. Cold-well Muc operation
2. Instranasal polypectomy
3. Endoscopic removal
4. None of the above

Correct answer: 3. Endoscopic removal

Explanation: Ans. is 'c' i.e., Endoscopic removal Treatment of antrochoanal polyp There is no medical treatment for antrochoanal polyp. The treatment of choice is complete surgical removal of polyp along with removal of lining of maxillary sinus to prevent the recurrence. Surgeries for antrochoanal polyp include :? 1. Avulsion of a polyp The stalk of the polyp is grasped and gently moved around to tease out the antral lining. Most of the time, avulsion fails to remove the polyp and antral lining completely. 2. Intranasal polypectomy It was the treatment of choice for all age groups prior to the advent of endoscopic sinus surgery and is still the treatment of choice in those setups where endoscopic surgery is not practised. 3. Caldwell Luc operation It is indicated if there is a recurrence and the age of the patient is more than 17 years. Now a days with FESS available - Caldwell luc operation is avoided. 4. Functional endoscopic sinus surgery (FESS) This is the treatment of choice for all polyps, whenever available and has superceded other methods of polyp removal.